Hydropic swelling of the cell is characterized by all the following Except
1. Increased number of cytoplasmic organelles
2. Dilatation of cisternae of endoplasmic reticulum
3. Impairment of cellular volume regulation
4. Influx of sodium into the cell

Correct answer: 1. Increased number of cytoplasmic organelles

Explanation: Except for A, all the Answers describe changes that typically occur during hydropic swelling. The volume of the cell increases because of an influx of sodium and water into the cytoplasm. The number of cytoplasmic organelles remains the same.